Other name of Sex-Linked Graft Rejection ?
1. Eichwald Silmser effect
2. Schultz Dale phenomena
3. Schwazman reaction
4. Theobald Smith phenomenon

Correct answer: 1. Eichwald Silmser effect

Explanation: EICHWALD SILMSER EFFECT - Sex linked graft rejection Unilateral sex linked histo-incompatibility =In a normal scenario , transplants between Siblings are accepted =When the donor is a male and the recipient is a female , graft is not accepted i.e. graft rejection occurs. This rejection occurs as the grafted male tissue/organ contains antigens encoded by Y-chromosome. As Y-chromosome is absent in females, so the immune system of female does'nt accept those antigens and graft is rejected. However the transplantation of graft from female to male is accepted This is known as EICHWALD SILMSER EFFECT In Simple words:-Sister to Brother transplant = graft acceptedBrother to Sister transplant = graft rejection